Carpal tunnel syndrome is associated with all except:
1. Dupuytren's contracture
2. Myxoedema
3. Idiopathic
4. Rheumatoid arthritis

Correct answer: 1. Dupuytren's contracture

Explanation: Ans. a. Dupuytren's contracture Associated conditions that can leads to carpal tunnel syndrome are: 1. Idiopathic (most common)2. Pregnancy3. Endocrine disordersHypothyroidismDiabetes mellitusMyxedemaAcromegalyHyperparathyroidism 4.Deposition disordersRheumatoid disorderGoutRheumatic disorderAmyloidosisSarcoidosisLeukemiaChronic renal failure